A 41-year-old man is admitted to the emergency department with a swollen and painful foot. Radiographic examination reveals that the head of the talus has become displaced inferiorly, thereby causing the medial longitudinal arch of the foot to fall. What would be the most likely cause in this case?
1. Tearing of the plantar calcaneonavicular (spring) ligament
2. Fracture of the cuboid bone
3. Interruption of the plantar aponeurosis
4. Sprain of the anterior talofibular ligament

Correct answer: 1. Tearing of the plantar calcaneonavicular (spring) ligament

Explanation: The plantar calcaneonavicular ligament (spring ligament) supports the head of the talus and maintains the longitudinal arch of the foot. A fracture of the cuboid bone would not disrupt the longitudinal arch of the foot. Interruption of the plantar aponeurosis is not the best answer because this aponeurosis provides only passive support, unlike the spring ligament. A sprain of the anterior talofibular ligament would result from an inversion injury of the ankle and would not disrupt the longitudinal arch of the foot. A sprain of the deltoid ligament results from eversion of the ankle joint and would not disrupt the longitudinal arch of the foot.